Lymphatic drainage of the cervix occurs by all of the following lymph nodes, except
1. Parametrial lymph nodes
2. Deep inguinal lymph nodes
3. Obturator lymph nodes
4. External iliac lymph nodes

Correct answer: 2. Deep inguinal lymph nodes

Explanation: Three channels facilitate lymphatic drainage from the cervix. The anterior and lateral cervix drains to nodes along the uterine arteries, traveling along the cardinal ligaments at the base of the broad ligament to the external iliac lymph nodes and ultimately the paraaortic lymph nodes. The posterior and lateral cervix drains along the uterine arteries to the internal iliac lymph nodes and ultimately the paraaortic lymph nodes, and The posterior section of the cervix drains to the obturator and presacral lymph nodes Ref - BDC 6e vol2 Pg 390